Allodynia is
1. Feeling pain without stimulus
2. Feeling pain to a normal non painful stimulus
3. Both
4. None

Correct answer: 2. Feeling pain to a normal non painful stimulus